Causes of chronic constipation are all except:
1. Hirschsprung disease
2. Chagas disease
3. Hypokalemia
4. Polyps

Correct answer: 4. Polyps